Strasberg'e class 'B' bile injury means
1. Bile leak from a minor duct
2. Occlusion of a branch of biliary tree
3. Injury of bile duct not in communication with CBD
4. Circumferential injury to major bile ducts

Correct answer: 2. Occlusion of a branch of biliary tree

Explanation: Strasberg classification of Laparoscopic Biliary injuries Type A- Bile leaks from minor ducts still in continuity with the CBD Includes leakage from cystic duct stump and from a subvesical duct of Luschka. MC cause of biliary leaks seen after cholecystectomy. Type B- Occlusion of a part of the biliary tree, almost always an aberrant right sectoral duct Type C- Transection without ligation of an aberrant right sectoral duct. Type D- A lateral injury to an extrahepatic duct. Type E- Includes biliary strictures, divided into E1 to E5 as classified by Bismuth Ref: Sabiston 20th edition Pgno :1502